Treatment of prolapsed in a nulliparous w omen is-
1. Sling operation
2. Anterior colporrhaphy
3. Posterior colporrhaphy
4. Manchester operation

Correct answer: 1. Sling operation

Explanation: Ans. is 'a' i.e., Sling operation Treatment options for uterine prolapseCategoryPreferred treatmento In a young nulliparous female or any female who desires to retain reproductive functionso Sting operation/cervicopexyo Congenital prolapse o < 40 vrs of female, does not desire future pregnancy but wants to retain menstrual functionso Manchester operationo Fothergill's operationo >40 yrs of female, does not desire future pregnancy and does not want to retain menstrual functionso Ward Mayo's vaginal hysterectomyo > 60 yrs of female & not fit for hysterectomyo Le Fort repairo Prolapse during pregnancy or puerperiumo Ring pessary